Pulmonary oligaemia may be seen in all of the following except:
1. Ebstein anomaly
2. Eisenmenger syndrome
3. Total anomalous pulmonary venous connection
4. Tetralogy of Fallot

Correct answer: 3. Total anomalous pulmonary venous connection

Explanation: Ans: C i.e. Total anomalous pulmonary venous connection Total anomalous pulmonary venous connection presents with pulmonary plethroa